Name of mumps vaccine is
1. Jeryl Lynn
2. Edmonshon Zagreb
3. Schwatz
4. Moraten

Correct answer: 1. Jeryl Lynn

Explanation: Widely used live attenuated mumps vaccine include the jeryl Lynn, RIT 4385, Leningrad-3, L-Zagreb and Urable strains. The current mumps strain (jeryl Lynn) has the lowest associated incidence of post-vaccine aseptic meningitis.